The lumbar region of the vertebral column permits all of the following movements except -
1. Flexion
2. Extension
3. Lateral flexion
4. Rotation

Correct answer: 4. Rotation

Explanation: The least permissible movement at lumbar spine is rotation (only 5°).
Flexion, extension, lateral flexion and rotation are the movements that occur in cervical, thoracic and lumbar spine; with an extra nodding movement at atlanto - occipital joint (i.e. cervical spine) and no movements at sacral and coccygeal spine.